Superior border of epiploic foramen formed by -
1. Caudate lobe
2. Hepatic artery
3. Bile duct
4. I VC

Correct answer: 1. Caudate lobe

Explanation: Ans. is 'a' i.e., Caudate lobe * Epiploic foramen (foramen of winslow or aditus to lesser sac) is a slit-like opening through which lesser sac communicates with greater sac. It is situated at the level of T12 vertebra. Its boundries are# AnteriorRight free margin of lesser omentum (contains portal vein, hepatic artery proper and bile duct).# Posterior IVC, right suprarenal gland and T12 vertebra.# Superior Caudate lobe of liver.# Inferior 1st part of duodenum and horizontal part of hepatic artery.